24 yr old mother with 7 week POG presents to ANC OPD with accidental exposure to radiation. What is to be done?
1. Immediate termination of pregnancy
2. Do Preinvasive Test
3. Do chromosomal Testing
4. Continue Pregnancy

Correct answer: 4. Continue Pregnancy

Explanation: In general,radiation exposureduring radiography, computed tomography (CT), or nuclear medicine imaging delivers adose much lowerthan that associated with fetal harm. If needed to supplement sonography or MR imaging or if more readily available, these should not be withheld Thus continue Pregnancy in above case